In portal hypertension the sites of portosystemic anastomosis includes -
1. Lower end of esophagus
2. Around umbilicus
3. Lower third of rectum and anal canal
4. All of the above

Correct answer: 4. All of the above